Weight of liver ?
1. 600-800 gm
2. 1000-1200gm
3. 1400-1600gm
4. 1800-2000gm

Correct answer: 3. 1400-1600gm

Explanation: Ans. is 'c' i.e., 1400-1600 gm Liver is the largest gland of body situated in right upper quadrant of abdominal cavity and occupies whole of the right hypochondrium, greater part of epigastrium with extension into left hypochondrium. It weighs about 1500-1600 gm in males and 1200-1300 gm in females. Liver has five surfaces : anterior, posterior, superior, inferior and right. It has only one prominent border, inferior border. Liver is covered by Glisson's capsule. Interior of liver is divided into hexagonal lobules. Lobule contains sinusoids which have fenesterated endothelium covering the subendothelial space of Disse. Two important cells in liver are hepatocytes (Parenchymal cells) and kupffer cells (monocytic-mocrophages).